The following fungi are thermally dimorphic, except:
1. Sporothrix schenkii
2. Cryptococcus neoformans
3. Blastomyces dermatitidis
4. Histoplasma capsulatum

Correct answer: 2. Cryptococcus neoformans

Explanation: Ans. (b) Cryptococcus neoformans